Sildenafil's mechanism of action can be best described as:
1. β–adrenoceptor blocking agent
2. Selective inhibitor of phosphodiesterase type 5
3. Inhibits reuptake of both serotonin and nor adrenaline
4. Selective serotonin reuptake inhibitor

Correct answer: 2. Selective inhibitor of phosphodiesterase type 5